For ASOM, myringotomy is done in which quadrant-
1. Antero- inferior
2. Antero - superior
3. Postero- superior
4. Postero - inferior

Correct answer: 4. Postero - inferior

Explanation: Myringotomy for grommet insertion (in SOM) → Antero-inferior
Myringotomy in ASOM → Postero-inferior